All are seen with Pneumocystis carini in AIDS except:
1. Pneumonia
2. Otic polypoid mass
3. Ophthalmic choroid lesion
4. Meningitis

Correct answer: 4. Meningitis

Explanation: In addition to pneumonia, a number of other clinical problems have been reported in HIV-infected patients as a result of infection with P. jiroveci as:- Otic involvement may be seen as a primary infection, presenting as a polypoid mass involving the external auditory canal. In patients receiving aerosolized pentamidine for prophylaxis against PCP, one may see a variety of extrapulmonary manifestations of P. jiroveci. These include ophthalmic lesions of the choroid, a necrotizing vasculitis that resembles Buerger's disease, bone marrow hypoplasia, and intestinal obstruction. Other organs that have been involved include lymph nodes, spleen, liver, kidney, pancreas, pericardium, heart, thyroid, and adrenals.